Which of the following surgery is indicated for the
removal of the 3cm ameloblastoma involving the inferior border of the mandible
1. Enucleation
2. Fulgration
3. Cryosurgery
4. Resection

Correct answer: 4. Resection